The neuromuscular blocker that does not need reversal of action by neostigmine at the end of the operation is
1. Pipecuronium
2. d-Tubocurarine
3. Mivacurium
4. Doxacurium

Correct answer: 3. Mivacurium

Explanation: Mivacurium:- It is the shortest acting competitive blocker; does not need reversal. Dose and speed of injection related transient cutaneous flushing can occur due to histamine release. Fall in BP is possible, but change in HR is minimal. It is metabolized rapidly by plasma cholinesterases. Prolonged paralysis can occur in pseudocholinesterase deficiency, but this can be reversed by neostigmine. Ref:- kd tripathi; pg num:-354